A patient woke up from sleep with difficulty in extending fingers. He can make a grip and hold apen. Wrist extension was possible. No sensory disturbance was found. Injury could be at
1. C8,T1
2. Posterior interosseous nerve
3. Lower part of brachial plexus
4. Hand area in motor cortex

Correct answer: 2. Posterior interosseous nerve

Explanation: Posterior interosseous nerve emerges from supinator on the back of the forearm .and lies between the superficial and deep muscles.At the lower border of the extensor pollicis brevis, it passes deep to the extensor pollicis longus .it then runs on the posterior surface of the interosseous membrane up to the wrist where it enlarges into pseudoganglion and ends by supplying the wrist and intercarpal joints. Reference : page no: 136 - BD chaurasia,upper limb & thorax